An immunologist is working on growing influenza virus for vaccine production in national institute of virology, Bangalore. Which of the following sites is used for the production of vaccine in a fertilized egg?
1. Allantoic cavity
2. chorioallontoic membrane
3. Yolk sac
4. Amniotic cavity

Correct answer: 1. Allantoic cavity

Explanation: Allantoic cavity inoculation is used for the growth and replication of the influenza virus for vaccine production. Embryonated eggs are used for the cultivation of viruses. Virus cultivation- Animal, Embryonated Egg and tissue culture Animal inocultion- suckling mice is used for inoculation of coxsackie and arbovirus Embryonated egg inoculation- Chorioallantoic membrane- Vaccinia, Variola, HSV 1 and HSV 2 Allantoic cavity- Vaccine of Yellow fever (17D), Influenza, Rabies Amniotic sac- Isolation of influenza Yolk sac- Chlamydiae, Rickettsiae Tissue culture- Cell lines Primary cell lines- Rhesus kidney cell line, Human amniotic cell line, Chick embyro fibroblast Secondary cell lines- Human fibroblast cell line, MRC-5 and WI- 38 Continuous cell lines- HeLa cell line, HEp-2, KB, Vero Reference: Ananthanarayan and Paniker's Textbook of Microbiology Tenth edition